Interstitial pulmonary fibrosis is associated with the following except
1. Sarcoidosis
2. Asbestosis
3. Carcinoid lung
4. Radiation exposure

Correct answer: 3. Carcinoid lung

Explanation: Interstitial pulmonary fibrosis is associated with several disorders,such as pneumoconioses(asbestosis),radiation injury,certain drug-induced lung diseases(nitrofurantoin),chronic aspiration,sarcoidosis,chronic hypersensitivity pneumonitis,organized chronic eosinophilic pneumonia.The term Usual interstitial pneumonia or Idiopathic pulmonary fibrosis is used for patients in whom the lesion is idiopathic and not associated with another condition. Reference:Harrison's medicine-18th edition,page no:2165.